Enfuvirtide belongs to the class of :
1. Fusion inhibitors
2. Protease inhibitors
3. Gp 120 inhibitors
4. Nucleotide reverse transcriptase inhibitors

Correct answer: 1. Fusion inhibitors